Subperiosteal abscess, penetrating deep is seen after extraction of
1. Maxillary 3rd molar
2. Mandibular 3rd molar
3. Maxillary 1st molar
4. Mandibular 1st molar

Correct answer: 2. Mandibular 3rd molar